In right middle ear pathology, Weber's test will be:
1. Normal
2. Centralised
3. Lateralised to right side
4. Lateralised to left side

Correct answer: 3. Lateralised to right side

Explanation: In Weber's test, tuning fork is placed on the forehead or vertex in the midline. Sound is conducted equally to both ears through bone vibration. In a normal person, the sound is centralised as it is heard equally in both ears.In conductive deafness, sound is localised to the affected ear (in this case right ear) because cochlear function is normal. The cochlear function is normal in healthy ear also but the ambient noise of air-conducted sound produces a masking effect on the normal side. Masking effect of air-conducted sound on the diseased ear (right ear in this case) is missing.